What is the action of anterior fibres of deltoid?
1. Flexion
2. Lateral Rotation
3. Flexion and medial dotation
4. Extension and lateral rotation

Correct answer: 3. Flexion and medial dotation

Explanation: Multipennate acromial fibres are powerful abductors of arm at the shoulder joint from beginning to 90deg.Extension and lateral rotation of arm is mediated by the posterior fibres.Flexion and medial rotation is mediated by the anterior fibres.B D Chaurasia 7th edition Page no: 70,71